Sporulation takes place in which phase of bacterial growth?
1. lag phase
2. log phase
3. stationary phase
4. decline phase

Correct answer: 3. stationary phase